Experimental gingivitis was first reported by
1. Carranza
2. Newman
3. Robert koch
4. Herald Loe

Correct answer: 4. Herald Loe